Most common site of endometriosis -
1. Ovary
2. FT
3. Colon
4. LSCSScar

Correct answer: 1. Ovary

Explanation: Ans. is 'a' i.e., Ovary Common sites of endometriosis in decreasing order of frequencyo Ovary > cul-de-sac> uterosacral ligaments> broad ligaments> fallopian tubes> uterovesical fold> round ligaments> vermiform appendix> vagina> rectovaginal septum> rectosigmoid colon> cecum> ileum> inguinal canals> abdominal scars> ureters> urinary bladder> umbilicus> vulva > peripheral sites.